Most of the viral infections present as -
1. Conjunctivitis
2. Keratitis
3. Keratoconjunctivitis
4. None

Correct answer: 3. Keratoconjunctivitis

Explanation: Most of the viral infections tend to affect the epithelium, both of the conjunctiva and cornea. So, the typical viral lesion is a Keratoconjunctivitis.